Frontal eye field Area is
1. 4
2. 6
3. 8
4. 41

Correct answer: 3. 8

Explanation: Frontal eye field ( Area 8): Located in middle frontal gyrus in front of premotor area Conjugate deviation of eyes to opposite side. Destructive lesions result in eyes looking towards the side of lesion.